A 20-year-old woman in her ninth month of pregnancy has increasing pain on defecation and notices bright red blood on the toilet paper. She has had no previous gastrointestinal problems. After she gives birth, the rectal pain subsides, and there is no more bleeding. Which of the following is the most likely cause of these findings?
1. Angiodysplasia
2. Hemorrhoids
3. Intussusception
4. Ischemic colitis

Correct answer: 2. Hemorrhoids

Explanation: Hemorrhoids are a common problem that can stem from any condition that increases venous pressure and causes dilation of internal or external hemorrhoidal veins above and below the anorectal junction. Angiodysplasia of the colon leads to intermittent hemorrhage, typically in older individuals. Ischemic colitis is rare in young individuals because the most common underlying cause (severe atherosclerotic disease involving mesenteric vessels) occurs in older patients. Intussusception and volvulus are rare causes of mechanical bowel obstruction; they occur suddenly in adults and are surgical emergencies.